Most suitable elevator for both elevation and curetting with minimum trauma is:
1. Molt's curette no.2-4
2. Molt's curette no.4-6
3. Molt's curette no.1-2
4. Molt's curette no.8-10

Correct answer: 1. Molt's curette no.2-4

Explanation: Even though several types of elevators are available, the Molts curette no.2-4 is suitable for both elevation and curetting with minimum trauma.